Calcination of CaSO42H2O at 130° leads to formation of
1. Alpha/ Beta - hemihydrate
2. Orthorhombic anhydrite
3. Hexagonal Anhydrite
4. Decrystallization

Correct answer: 1. Alpha/ Beta - hemihydrate